Drug used to prolong action of LA in Hypertensive pts –
1. Clonidine
2. Felypressin
3. Dexmeditomidate
4. Noradrenalin

Correct answer: 2. Felypressin

Explanation: Vasoconstrictor are used along with local anaesthetics.
Adrenaline is the most commonly used vasoconstrictor. Less commonly phenylephrine is also used. Felypressin (synthetic vasopressine) does not effect BP & HR → Preferred in patients with cardiovascular disease.